Which is the first intermediate in the conversion of cholesterol to bile acids?
1. Ergosterol
2. Lanosterol
3. 7- hydroxycholesterol
4. 7- dehydrocholesterol

Correct answer: 3. 7- hydroxycholesterol

Explanation: The first intermediate in the synthesis of bile acids is 7a-hydroxycholesterol. It is catalyzed by the enzyme 7a-hydroxylase, a microsomal CYP450 enzyme, which requires NADPH, oxygen, and vitamin C as cofactors. It is the rate-limiting step in the synthesis of bile acids.